Which of the following has poorest oral bioavailability?
1. Oseltamiviir
2. Zanamivir
3. Rrimanti dine
4. Amantadine

Correct answer: 2. Zanamivir

Explanation: Ans. is 'b' i.e., Zanamivir o Zanamivir has minimum oral bioavailability thus it is given by intranasal or intravenous routes.